Process of redistribution is seen with:
1. Ketamine
2. Thiopentone
3. Morphine
4. Barbiturates

Correct answer: 2. Thiopentone

Explanation: Ans. B. ThiopentoneProcess of redistribution is seen with thiopentone, if given intravenously, it reaches the brain and distributed due to high lipid solubility. Therefore, its anesthetic effect is quite rapid. It gains comes out of the brain and gets distributed into blood vessels.